Most common cause of UTI in a neonate is
1. E.coli
2. S. aureus
3. Enterococcus
4. Anerobes

Correct answer: 1. E.coli

Explanation: Causative agents of UTI:Uncomplicated UTIComplicated UTI*E.coli *Klebsiella*Proteus species*Enterobacter*Staphylococcus saprophyticus*Enterococci *Chlamydia , Neisseria *Ureaplasma, Mycoplasma . Adenovirus *E.coli *Klebsiella*Proteus species*Serratia marcescens*Pseudomonas *Enterococci Staphylococci Ref:Harrison's infectious disease 2nd edition, p296